Insulinoma is most commonly located in which part of the pancreas
1. Head
2. Body
3. Tail
4. Equally distributed

Correct answer: 4. Equally distributed

Explanation: Virtually,all insulinomas are located in the pancreas and tumors are equally distributed with the gland Bailey & Love ,26th,788.